True about vibrio cholerae is -
1. Disease more common in woman
2. Classical vibrio protect against development of 0-139 Tor is milder than classical
3. El - Tor is milder than classical
4. All

Correct answer: 3. El - Tor is milder than classical

Explanation: El - Tor is milder than classical